Most common cyst of ectopic salivary gland is ?
1. Wharton cyst
2. Warthin cyst
3. Stafne bone cyst
4. Dermoid cyst

Correct answer: 3. Stafne bone cyst

Explanation: Ectopic salivary gland is nothing but ectopic lobe of juxtaposed salivary gland.It is commonly seen in relation to submandibular salivary gland.Commonest ectopic salivary tissue is Stafne bone cyst.It is invagination of the juxtaposed submandibular salivary gland into the mandible bone on its lingual aspect.X-ray shows radiolucent area due to the cyst below the angle of the mandible,lower to inferior dental vessels and nerve SRB,5th,406